Which of the following are seen in chronic lymphedema?
1. Buffalo hump
2. Square toes
3. Stemmer's sign
4. All of the above

Correct answer: 4. All of the above

Explanation: Signs of Chronic Lymphedema Buffalo hump - Contour of the ankle is lost through infilling of the sub malleolar depressions, a 'buffalo hump' forms on the dorsum of the foot Square toes - Toes appear 'Square because of confinement of footwear Stemmer's sign - Skin on the dorsum of the toes cannot be pinched because of subcutaneous fibrosis